Colposcopic features suggestive of malignancy are all except :
1. Condyloma
2. Vascular atypyia
3. Punctation
4. White epithelium

Correct answer: 1. Condyloma

Explanation: Ans. is a i.e. Condyloma Colposcopy is the primary technique for evaluation of an abnormal cervical cytology smear.. A colposcope is a binocular microscope producing magnification of 5 - 15 times. Colposcopy is done after application of 3 - 5% acetic acid, to the abnormal area. Aceto white epithelium plakia or hyperkeratosis Mosaicism or Punctuation Atypical vessels Dysplastic epithelium turns white after application of acetic acid and is called as Aceto white epithelium. It is an area of white, thick epithelium which is appreciated prior to application of acetic acid & may indicate HPV infection / Keratinizing CIN, Keratinzing carcinoma, Chronic trauma from diaphragm, pessary and radiotherpay. Reflecting abnormal vascular pattern of surface capillaries. With bizarre capillaries in corkscrew, comma shape or sphagetti like configuration. (They suggest early stromal invasion). Abnormal Findings ( Indicative of dysplasia) are : The metaplastic epithelium appears grey and filmy (instead of white) after acetic acid application.